Ovarian cyst in children presents with pain due to all except
1. Peritoneal bleeding from rupture
2. Ovarian torsion
3. Expansion of ovarian cortex
4. Stretch of Infundibulopelvic ligament

Correct answer: 4. Stretch of Infundibulopelvic ligament

Explanation: Pain from ovarian cysts stems from 3 sources

Expansion of ovarian cortex.
Peritoneal bleeding from rupture.
Ovarian torsion.